Which of the following is highly effective in preventing convulsions in a woman with severe preeclampsia?
1. Phenytoin
2. MgSO4
3. Diazepam
4. Levetiracetam

Correct answer: 2. MgSO4

Explanation: Magnesium sulfate is highly effective to prevent convulsions in women with preeclampsia and to stop them in those with eclampsia.In all studies, magnesium sulfate was reported to be superior to all the compared agents to prevent eclampsia.Reference: William's Obstetrics; 25th edition; Chapter 40; Hypertensive disorders